Penicillium marneffei is seen in
1. TB
2. AIDS
3. Diabetes
4. Kala azar

Correct answer: 2. AIDS

Explanation: Penicillium marneffei has been reported to be an important opportunist pathogen in the HIV infected. It causes disseminated infection with multiple organ involvement. Ref: Baveja textbook of microbiology; 4th edition